Confirmatory test for cushing's disease is
1. High dose dexamethasone suppression test
2. 24 hr urine free cortisol
3. Overnight dexamethasone suppression test
4. Bilateral inferior petrous sinus sampling

Correct answer: 4. Bilateral inferior petrous sinus sampling